Under NMEP, the function of fever depot treatment is -
1. Diagnosis of cases + spraying
2. Collection of slides + treatment of fever
3. Treatment of fever cases only
4. Treatment + slide collection + spraying

Correct answer: 2. Collection of slides + treatment of fever

Explanation: Ans. is 'b' i.e., Collection of slides + treatment of fever Drug Distribution cernters and fever treatment depots were established under NMEP with increasing number of malaria cases.